An early systolic murmur may be caused by all of the following except
1. Small ventricular septal defect
2. Papillary muscle dysfunction
3. Tricuspid regurgitation
4. Aortic stenosis

Correct answer: 4. Aortic stenosis

Explanation: Aortic stenosis is characteristically associated with a midsystolic murmur and is the most appropriate answer.Ref: Harrison's 18/e p1827-28.